Which of the following is associated with destruction of myenteric plexus?
1. Hirschsprung disease
2. Secondary Achalasia
3. HPSS
4. GIST

Correct answer: 2. Secondary Achalasia

Explanation: 12 Ans. is 'b' i.e., Secondary achlasia * Secondary achalasia may arise in Chagas disease, in which Trypanosoma cruzi infection causes destruction of the myenteric plexus, failure of peristalsis, and esophageal dilatation.